The type II error is the acceptance of a null hypothesis as true when it is:
1. TRUE
2. Nonexistent
3. Negative valued
4. FALSE

Correct answer: 4. FALSE